Which of the following is most resistant to gonococcal infection
1. Prostate
2. Epididymis
3. Testis
4. Urethra

Correct answer: 3. Testis

Explanation: In men, gonococcal infection is manifested as urethritis. The infection extends along the urethra to prostate, seminal vesicle and epididymis. Reference: Textbook of Microbiology; Anathanarayan and panicker's; 9th edition